Aldosterone mainly acts upon
1. PCT
2. Loop of Henle
3. Glomerulus
4. Distal renal tubule

Correct answer: 4. Distal renal tubule

Explanation: Aldosterone is the main mineralocorticoid hormone secreted by the adrenal cortex, the principal biological activity of which is the regulation of electrolyte and water balance by promoting the retention of sodium (and, therefore, of water) and the excretion of potassium; the retention of water induces an increase in plasma volume and an increase in blood pressure. Its secretion is stimulated by angiotensin II.Aldosterone is mineralocorticoid hormone produced by the zona glomerulosa of the adrenal cortex; its major action is to facilitate potassium exchange for sodium in the distal renal tubule, causing sodium reabsorption and potassium and hydrogen loss.Ref: Ganong's review of medical physiology;24th edition; page no-364